A 23 year old female presents to the clinic with history of recurrent abortions. While investigating this patient for recurrent abortions all of the following tests are to be done EXCEPT:
1. Parental cytogenetics
2. Thyroid profile
3. Antiphospholipid antibodies
4. TORCH infection screening

Correct answer: 4. TORCH infection screening

Explanation: Recurrent miscarriage is defined as a sequence of three or more consecutive spontaneous abortion before 20 weeks. Investigations: 1) Blood glucose (fasting and post prandial), VDRL, thyroid function test, ABO and Rh grouping (husband and wife), toxoplasma antibodies IgG&IgM 2) Autoimmune screening - lupus anticoagulant and anticardiolipin antibodies 3) Serum LH on D2/D3 of the cycle 4) Ultrasonography - to detect congenital malformations of uterus, polycystic ovaries and uterine fibroid 5) Hysterosalpingography in the secretory phase 6) Laryngoscopy 7) Karyotyping (husband and wife) 8) Endocervical swab to detect chlamydia, mycoplasma, and bacterial vaginosis